Which disease is characterised by the presence of Torres bodies in the liver cells in its early stage?
1. Kala -azar
2. Q - fever
3. Yellow fever
4. LGV

Correct answer: 3. Yellow fever

Explanation: Yellow fever is caused by Flavivirus spread by Aedes aegypti mosquito. Pathological changes seen in Yellow fever: Histologically the liver cells shows cloudy and fatty degeneration and necrosis which is typically midzonal. The necrosed cells coalesce and become hyalinised leading to the formation of characteristic eosinophilic masses known as councilman bodies. Acidophilic intranuclear inclusion bodies (Torres bodies) are seen in the infected liver cells in the early stages. Must know: Q- fever / Query fever is caused by Coxiella burnetti. It is a zoonotic disease. Kala - azar is caused by Leishmania donovani LGV is caused by chlamydia trachomatis. Ref: Ananthanarayan & Paniker's 8th Ed page 518.